All are true associations of ulcerative colitis except -
1. Ertythema nodosum
2. Circinate balanitis
3. Sclerosing cholangitis
4. Aphthous stomatitis

Correct answer: 2. Circinate balanitis

Explanation: • Circinate balanitis is seen in Reiter’s syndrome, not in ulcerative colitis.